The drug prednisolone is known to be a powerful anti- inflammatory agent. This is true due to the action of the drug on which of the following enzymes?
1. Cyclo oxygenase
2. Lipoxygenase
3. Phospholipase A
4. Phosphodiesterase

Correct answer: 3. Phospholipase A

Explanation: -Steroids inhibit phospholipase A2 enzyme by causing induction of proteins called Annexins. -Phospholipase A2 is involved in formation of PG (Prostaglandin) and LT(leukotriene)